Milroys disease is lymphedema which is-
1. Familial
2. Follows filariasis
3. Follows erysipelas
4. A sequele to white leg

Correct answer: 1. Familial